Hyperphagia, weight gain and hypersexuality is seen in -
1. Kluver-Bucy syndrome
2. Sein-leventhal syndrome
3. Bulemia nervosa
4. None

Correct answer: 1. Kluver-Bucy syndrome

Explanation: Ans. is 'a' i.e., Kluver-Bucy syndromeo Kluver - Bucy syndrome may present with hyperphagia, hypersexuality, oral tendencies, and visual agnosia,o Kluver-Bucy syndrome is a neuro-behavioural syndrome associated with bilateral lesions in the anterior temporal horn or amygdala. Heinrich kluver and Paul Bucy first described the syndrome in 1937 after experimental work where they removed rhesus monkey's temporal lobes. They found that the monkeys developed.1) Visual agnosia : They could see, but were unable to recognise familiar objects or their use.2) Oral tendencies : They would examine their surroundings with their mouths instead of their eyes.3) Hypermetamorphosis : A desire to explore everything.4) Emotional changes : Emotion was dulled and facial movements and vocalisations were far less expressive. They lost fear where it would normally occur. Even after being attacked by a snake, they would casually approach it again. This was called "placidity".5) Hypersexuality : A dramatic inc rease in overt sexual behaviour, including masturbation, and homosexual and heterosexual acts. They may even attempt copulation with inanimate objects.o The syndrome in humans is due to bilateral destruction of the amygdaloid body and inferior temporal cortex, most commonly due to herpes simplex encephalitis (HSE). It shares visual agnosia and loss of normal fear and anger responses in common with the monkey model but one also seen loss of memory with dementia, distractibility and seizures. The hypersexuality tends to be less overt than in the monkeys but may be public and unacceptable.